Conglomerate Nodules in X-ray seen in?
1. Hypersensitivity Pneumonitis
2. Sarcoidosis
3. Silicosis
4. Lobar Pneumonia

Correct answer: 3. Silicosis

Explanation: Complicated Silicosis (Progressive Massive Fibrosis--PMF)Massive fibrosis and conglomerate nodule formation in upper lobes with scarring and retraction of hilar upwardsConglomerate nodules are > 1 cm in size usually in mid-zone or periphery of upper lobes Compensatory emphysema occurs in lower lung fields Nodules tend to disappear from rest of lung when PMF develops Progressive Massive Fibrosis (PMF) may cavitate from tuberculosis or ischemic necrosis(Refer: Wolfgang F.Dahne's Radiology Review Manual, 6th edition, pg no: 532)